Most common cause of conductive deafness in children less than 12yrs:
1. CSOM
2. Otosclerosis
3. Serous otitis media
4. Atresia of auditory canals on both sides

Correct answer: 3. Serous otitis media

Explanation: Serous otitis media/secretory otitis media/ mucoid otitis media/glue ear/otitis media with effusion is a condition with accumulation of non-purulent, sterile effusion in the middle ear cleft. It affects children in the age group of 5-8 years. It presents with conductive hearing loss. Fluid level and air bubbles may be seen when the fluid is thin and tympanic membrane transparent. Otosclerosis presents with bilateral conductive hearing loss in the second decade.